Most common malignant tumour in childhood –
1. Rhabdomyosarcoma
2. Leukemia
3. Lymphangioma
4. Neuroblastoma

Correct answer: 2. Leukemia